Heparin therapy should be monitored with intermittent estimation of :
1. Bleeding time
2. Prothrombin time
3. PTTK
4. All of the above

Correct answer: 3. PTTK